Which hormone increases with age -
1. GH
2. Prolactin
3. FSH
4. Insulin

Correct answer: 3. FSH

Explanation: Ans. is 'c' i.e., FSH o Increasing age affects the hormonal secretion of body.Age related change of hormonesDecrease with ageNo change or slight decreaseIncrease with ageo Aldosteroneo Calcitonino Growth hormoneo Renino Estrogeno Prolactino Cortisolo Epinephrineo Insulino Thyroid hormones (T3 or T4)o Testosterone (slight decrease)o Parathyroid hormoneo FSHo LHo Norepinephrine